The therapeutic efficacy of antihypertensive drug is blunted by NSAIDs because they:
1. Cause sodium excretion
2. Increase the clearance of antihypertensive drugs
3. Decrease the absorption of antihypertensive drugs
4. Decrease the synthesis of vascular prostacyclin

Correct answer: 4. Decrease the synthesis of vascular prostacyclin

Explanation: Ans. is 'd' i.e., Decrease the synthesis of vascular prostacyclin o NSA IDs blunt the antihypertensive effect of diuretics. o Loop diuretics act partly (intrarenal hemodynamics) by increasing the synthesis of prostaglandins by stimulation of COX o Prostaglandins (especially PGE2 and PGI2) cause renal vasodilation, natriuresis and increased water clearance due to inhibition of the ADH action. o NSAIDs inhibit the synthesis of prostaglandins by inhibiting COX. Therefore, NSAIDs blunt the diuretic effect of loop diuretics.